A poison which is illuminous, translucent and waxy ?
1. Iodine
2. Ammonium bromide
3. Cobra venom
4. Yellow phosphorus

Correct answer: 4. Yellow phosphorus

Explanation: Yellow (or white) phosphorus exist in translucent, waxy, luminous cylinders of garlicky smell and taste.